True about Conn's syndrome
1. TK+
2. Proximal myopathy
3. Ted plasma rennin activity
4. Edema

Correct answer: 2. Proximal myopathy

Explanation: Answer is B (Proximal myopathy): Conn syndrome is associated with hypokalenzia and muscle weakness (proximal myopathy) Patients with Conn's syndrome characteristically do not have edema, and Plasma rennin activity is typically low (decreased).